Knockout drops are:
1. Paraldehyde
2. Chloral hydrate
3. Kerosene
4. Turpentine

Correct answer: 2. Chloral hydrate

Explanation: Ans. Chloral hydrate